The use of which of the following helps in reducing the toxicity of Doxorubicin to the heart
1. Carboplatin
2. Flucytosine
3. Amifostine
4. Dexrazoxane

Correct answer: 4. Dexrazoxane

Explanation: DrugUsesLeucovorinProtects against Methotrexate toxicityAmifostinePrevents radiation toxicityDexrazoxaneProtects against anthracycline cardiac toxicityPaliferminPrevents mucositis(Refer: Rang and Dale's Clinical Pharmacology, 7th edition, pg no: 681-682)(Refer: K. D. Tripathi's Essentials of Medical Pharmacology, 7th edition, pg no: 867)